After cataract
1. Polychromatic lusture
2. Elschnig's pearls
3. 'Bread-crumb' appearance
4. 'Snow-flake' cataract

Correct answer: 2. Elschnig's pearls

Explanation: i.e. (Elschnig's pearls): (201-Khurana 4th) (278-79- Parson 21st)* Elschnig s pearls - in which the vacuolated sub capsular epithelial cells are clustered like soap bubbles along the posterior capsuleSoemmering's ring - in which refer to a thick ring of after cataract formed behind the iris, enclosed between the two layers of capsuleAFTER CATARACT OR SECONDARY CATARACT - It is the opacity which persists or develops after extracapsular lens extraction (ECLE)* YAG - laser capsulotomy is the treatment of choice**